Which of the following is not the effect of ranitidine as compared to cimetidine?
1. Action on H2 receptors
2. Given orally
3. Used with proton pump blockers
4. Anti-androgenic action

Correct answer: 4. Anti-androgenic action

Explanation: Ans. d (Anti-androgenic action). (Ref. Pharmacology by KD Tripathi 5th/- 590)RANITIDINE AS COMPARED TO CEMETIDINE# 5 times more potent# Has no anti-androgenic action# Less CNS penetration# No interaction with hepatic metabolism of other drugs.# Hepatic injury, hematological adverse effects not seen.